Endosonics utilizes which instrument?
1. H file
2. K file
3. Endo box
4. Reamers

Correct answer: 2. K file